25 Mycobacterium leprae can be grown on :
1. Culture media
2. Foot pad of mouse / Armadillo
3. Liver of guinea pig
4. Kidney of rabbit

Correct answer: 2. Foot pad of mouse / Armadillo